Most common site of volvulus is:
1. Ileum
2. Appendix
3. Sigmoid colon
4. Caecum

Correct answer: 3. Sigmoid colon

Explanation: Ans. (c) Sigmoid colon